A patient with suspected subarachnoid haemorrhage presents with blood isolated in the fourth ventricle on a CT scan. Aneurysmal rupture is likely to have resulted from -
1. Posterior Inferior Cerebellar Artery Aneurysm
2. Anterior Communicating Artery Aneurysm
3. Posterior Communicating Artery Aneurysm
4. Basilar Artery Tip Aneurysm

Correct answer: 1. Posterior Inferior Cerebellar Artery Aneurysm